A drug has 80% absorption and hepatic extraction ratio is 0.4. Calculate the bioavailability of drug?
1. 12%
2. 32%
3. 48%
4. 64%

Correct answer: 3. 48%

Explanation: Amount absorbed = 80% (80 molecules)Amount removed by the liver= 80*4/10= 32 molecules80-32= 48%Ref: Goodman and Gillman 12th ed/pg 20